All are true about nasopharyngeal angiofibroma except:
1. Seen exclusively in age group of 10-20 years
2. Seen exclusively in males
3. Recurrent bleeding is most common presentation
4. X-ray is IOC

Correct answer: 4. X-ray is IOC

Explanation: Ans: D (X...) NASOPHARYNGEAL ANGIOFIBROMA P.LDhingra 6th/246-50As the tumour is predominantly seen in adolescent males in the second decade of life, it is thought to be testosterone dependentAge & sex: Tumour is seen exclusively in males in age group of 10-20 yearsProfuse, recurrent & spontaneous epistaxis is the most common presentationOther clinical features include: progressive nasal obstruction & denasal speech; conductive hearing loss & otitis media with effusion; mass in the nasopharynx etcCT scan of head with contrast is now the investigation of choiceSurgical excision is the treatment of choice though radiotherapy & chemotherapy singly or in combination have also been used